Most potent cardiac stimulant of the following is ?
1. Adrenaline
2. Noradrenaline
3. Ephedrine
4. Salbutamol

Correct answer: 1. Adrenaline

Explanation: Ans. is 'a' i.e., Adrenaline